Use of OCPs are known to protect against following malignancies except:
1. Ovarian carcinoma
2. Endometrial carcinoma
3. Colorectal carcinomas
4. Carcinoma cervix

Correct answer: 4. Carcinoma cervix

Explanation: Risks of breast and cervical cancers are increased in women who use oral contraceptives. The risks of endometrial, ovarian, and colorectal cancers are reduced.